Plant penicillin is
1. Carbamate
2. OPC
3. Endrin
4. DDT

Correct answer: 3. Endrin

Explanation: C i.e. Endrin